Most common cause of hydronephrosis is children
1. PUJ obstruction
2. Ureterocele
3. Posterior urethral valve
4. Ectopic ureter

Correct answer: 1. PUJ obstruction

Explanation: In children Most common cause of hydrophosis is Pelvi Ureteric junction obstruction.